Cranial Nerve VIII exits through which of the following ?
1. Foramen ovale
2. Foramen rotundum
3. Internal accoustic meatus
4. Stylomastoid foramen

Correct answer: 3. Internal accoustic meatus

Explanation: The Vestibulocochlear nerve emerges from the brain at the cerebellopontine angle and exits the cranium the internal acoustic meatus of the temporal bone. Within the distal aspect of the internal acoustic meatus, the vestibulocochlear nerve splits, forming the vestibular nerve and the cochlear nerve . Ref - Sciencedirect.com